Late deaths in burns is due to
1. Sepsis
2. Hypovolemia
3. Contractures
4. Neurogenic

Correct answer: 1. Sepsis

Explanation: "Following successful resucitation, most acute morbidity and virtually all mortality in severely burned patients are related to infection." - Schwartz
This is because thermal injury causes profound immunosuppression that is proportional to the TBSA of the burn.

Also know

Inspite of the burn patient at significant risk to infection, prophylactic systemic antibiotics are not part of modern burn care, as they do not reduce septic complications and only lead to increased bacterial resistance.